Least conduction velocity is seen in
1. AV node
2. Purkinje fibres
3. Bundle of His
4. Ventricular myocardial fibers

Correct answer: 1. AV node